Weber's syndrome occurs due to lesions in the:-
1. Pons
2. Midbrain
3. Medulla oblongata
4. Cerebellum

Correct answer: 2. Midbrain

Explanation: Weber's syndrome consists of an ipsilateral 3rd cranial N. paralysis with a contralateral hemiplegia due to a lesion in one half of the midbrain